True about reactionary hemorrhage following surgery:
1. Hemorrhage occurring within 48 h
2. Hemorrhage occurring within 36 h
3. Hemorrhage occurring within 24 h
4. Hemorrhage occurring during surgery

Correct answer: 3. Hemorrhage occurring within 24 h

Explanation: Ans. Hemorrhage occurring within 24 h